Which of the following is not a characteristic finding in Henoch Schonlein Purpura?
1. Palpable purpura
2. Nephritis
3. Thrombocytopenia
4. Abdominal pain

Correct answer: 3. Thrombocytopenia

Explanation: Henoch Schonlein Purpura is a small vessel vasculitis characterized by palpable purpura, arthralgia, gastrointestinal signs and symptoms and glomerulonephritis. Patients have a normal platelet count, other laboratory findings includes mild leukocytosis, occasional eosinophilia, normal serum complement and elevated IgA. Reference: Harrison's Principles of Internal Medicine 18th edition, chapter 326.